Which of the following is false about hemorrhoids?
1. Not palpable on DRE
2. Painless rectal bleeding
3. Arterial bleeding
4. MC location is 9’o clock

Correct answer: 4. MC location is 9’o clock

Explanation: MC location is 3, 7 and 11’o clock.